Definitive criteria for PID is
1. Tubo-Ovarian abscess on USG
2. Cervical erosion
3. Temparature > 37.5 degrees
4. Infertility

Correct answer: 1. Tubo-Ovarian abscess on USG

Explanation: Chronic pelvic inflammatory disease manifest as Hydrosalpinx Chronic pyosalpinx Tubo ovarian abscess or cyst Tubercular tubovarian masses Ref: Shaw Gynecology 17 e pg 340.